Contraindication to breast milk feeding:a) Mother is sputum negativeb) Bromocriptine therapy for motherc) Heavy breast engorgementd) Ca Breaste) Mother on domperidone
1. c
2. d
3. bd
4. ac

Correct answer: 3. bd

Explanation: Contraindications to Breast feeding

Mother on IV drug abuse/excess alcohol.
In females undergoing treatment for breast cancer (ACOG 2000)
Mother on anticancer drugs or other teratogenic drugs.
Active Herpes simplex lesions of the breast.
Active/untreated pulmonary tuberculosis in mother.
Galactosemia and congenital lactose intolerance in infant.
HIV-positive mother if she can afford formula feeds.

 
Hepatitis B/C infections are concerned they are not contraindications to breast feeding.
Infants of seropositive hepatitis B mothers should be given Hepatitis B Immunoglobulin (IM) within 12 hours of birth.
Also know : HIV in developing countries is not a contraindication for breastfeeding .
Medications contraindicated during lactation.